The only reason for operating in case thyroiditisis -
1. To prevent cancerous degeneration
2. For relief of pain in neck and ear
3. To overcome pressure on trachea or oesophagus
4. To cure the toxic reaction

Correct answer: 3. To overcome pressure on trachea or oesophagus